Action of 20mcg/kg/min dopamine is
1. Renal vasodilatation
2. Vasoconstriction
3. Increased blood pressure
4. Increased myocardiac contractility

Correct answer: 2. Vasoconstriction

Explanation: Less than 2mcg/kg/min: Renal VD 2-10mcg/kg/min: B1 stimulation More than 10: alpha stimulation -VC